Which of the following is the longest acting LA?
1. Mepivacaine
2. Bupivacaine
3. Dibucaine
4. Chlorprocaine

Correct answer: 3. Dibucaine

Explanation: Dibucaine: Longest acting LA.
Chlorprocaine: Shortest acting LA.